True about denaturation of protein is all except?
1. Unfolding occurs
2. Disruption of secondary structure occurs
3. Sequence of amino acids remain the same
4. Biological activity is retained

Correct answer: 4. Biological activity is retained